True about inspiration; the intrapleural pressure becomes:
1. More - ye
2. More +ve
3. Same
4. Initially positive, then negative

Correct answer: 1. More - ye

Explanation: A i.e. More - ve